Aliskiren is a
1. Endothelin receptor antagonist
2. Antiplatelet
3. Renin inhibitor
4. Diuretic

Correct answer: 3. Renin inhibitor

Explanation: Aliskiren binds to the S3bp binding pocket of renin, essential for its activity . Binding to this pocket prevents the conversion of angiotensinogen to angiotensin I.